Which of the following Pneumoconioses is caused by Thermoactinomyces Sacchari?
1. Silicosis
2. Anthracosis
3. Byssinosis
4. Bagassosis

Correct answer: 4. Bagassosis